Ketanserin is :
1. 5HT1B antagonist
2. 5HT2 antagonist
3. 5HT1A agonist
4. 5HT1D antagonist

Correct answer: 2. 5HT2 antagonist